Max duration of time spent is in NREM stage -
1. I
2. II
3. III
4. IV

Correct answer: 2. II

Explanation: REM sleep occupies 20-30% of total sleep and NREM sleep occupies 60-70% (state I: 5-10%, stage II: 40-50%, stage III & IV : 15-20%).